All of the following are defence mechanisms of ego except
1. Projection
2. Conversion
3. Reaction formation
4. Transference

Correct answer: 4. Transference

Explanation: D i.e. Transference